Patient develops nausea, vomiting, and ascending paralysis on ingestion of a poison. The poisoning is due to:
1. Dhatura
2. Strychnos nux vomica
3. Conium Maculatum
4. Opium

Correct answer: 3. Conium Maculatum

Explanation: Hemlock or Conium maculatum is a peripheral nerve poison with mousy or carrot smell. This plant is also known as spotted hemlock,because of the purple spots on its stem. Active principle: Coniine, methyl coniine Action: It causes paralysis of the motor nerve terminals in the muscles, gradually spreading to the motor cells of the spinal cord and the brain. The lower limbs are affected first and the paralysis ascends till the muscles of respiration are affected results in death.